First quartile of the following data is - 1, 3, 4, 2
1. 1
2. 3
3. 1.5
4. 4

Correct answer: 3. 1.5

Explanation: Ref: Parks 23rd edition Arrange the values in ascending order 1,2,3,4 Median= 2.5, that is Q2 Q1= middle of 1 and 2 , that is 1.5